The most common cardiac congenital malformations seen clinically is
1. Persistent truncus arteriosus
2. Membranous VSD
3. Common ventricle
4. Foramen secundum defect

Correct answer: 2. Membranous VSD

Explanation: The most common of all cardiac congenital malformations seen clinically are membranous VSDs. The membranous interventricular septum forms by the proliferation and fusion of tissue from three different sources: Right bulbar ridge Left bulbar ridges Atrioventricular (AV) cushions. Because of this complex formation, the probability of defects is very high.